Amount of calcium is maximum in which milk:
1. Cow
2. Buffalo
3. Human
4. Goat

Correct answer: 2. Buffalo

Explanation: Amount per 100 ml Cow's milk Human milk Buffalo milk Goat milk Fat 4.1 g 3.4 g 6.5 g 4.5 g Protein 3.3 g 1.1 g 4.3 g 3.3 g Lactose 4.4 g 7.4 g 5.1 g 4.6 g Calcium 120 mg 28 mg 210 mg 170 mg Iron 0.2 mg 0.2 mg 0.3 mg Ref: Park, 22nd edition pg: 584